Vague elaborate and circumstantial speech with magical thinking is characteristic of :
1. Paranoid
2. Borderline
3. Schizoid
4. Schizotypal

Correct answer: 4. Schizotypal

Explanation: Schizotypal (cluster A ) personality is characterized by odd speech that is vague or rambling, discomfort in social situations, strange thinking and lack of emotional appropriateness *Ideas of reference (not delusions) *Odd beliefs and magical thinking *Unusual perceptual disturbances *Paranoid ideation and suspiciousness *Odd thinking and speech without coherence *SUPERSTITIONS/TELEPATHY *ODD DRESSING *ODD SPEECH *LACK OF EMOTIONS Reference: Kaplon and sadock, 11 th edition, synopsis of psychiatry, 11 th edition, pg no. 845